Median nerve lesion at the wrist causes all of the following. except -
1. Thenar atrophy
2. Weakness of Adductor pollicis
3. Weaknes of 1st and 2nd
4. Weakness of Flexor pollicis Brevis

Correct answer: 2. Weakness of Adductor pollicis

Explanation: Adductor pollicis is supplied by ulnar nerve.
All other options are seen in median nerve palsy.